Sensory receptors with delayed recovery and least coverage-
1. Pacinion corpuscle
2. Ruffini endings
3. Meissner corpuscle
4. Merkel's disc

Correct answer: 4. Merkel's disc

Explanation: Ans. is 'd' i.e., Merkel's disc * Receptive field of sensory receptorsi) Smallest receptive field (Least coverage): Merkels disc, Meissner corpusclesii) Wide receptive field; Pacinian corpuscle, Ruffini end organ (Ruffini corpuscle)* Adaptation of sensory receptorsi) Rapidly adapting (rapid recovery) - Meissners corpuscles, Pacinian corpuscles.ii) Slowly adapting (delayed recovery) - Merkels disc, Ruffini s end organs* Thus answer of the question is Markel's disc - Small receptive field (least coverage) and rapid adaptation (rapid recovery).